Non modifiable risk factor for hypertension -
1. Gender
2. Obesity
3. Salt intake
4. Cultural characteristic acquired over time

Correct answer: 1. Gender

Explanation: gender is the only non modifiable cause of hypertension.obesity,salt intake,cultural charecteristics are modifiable Ref Davidson 23rd edition pg 455